Chancroid is caused by:
1. Treponema pallidum
2. Leishmania donovani
3. Haemophilus ducreyi
4. Donovania granulomatis

Correct answer: 3. Haemophilus ducreyi

Explanation: Ans. c (Haemophilus ducreyi). (Ref. Textbook of microbiology by Ananthanarayan 6th/ 311.)VulvovaginitisAdherent yellowish discharge, pH >5, fishy amine odor in KOH, clue cells, gram - cell dominateBacterial vaginosisOvergrowth of Gardnerella vaginalis, anaerobesClue cells, gram - rodsMetronidazoleVulvovaginitis, pruritus, erythema, discharge with consistency of cottage cheeseCandida spp.Antibiotic use-* overgrowth, immunocom promisedGerm tube test, gram + yeasts in vaginal fluidsNystatin, miconazole"Strawberry cervix" foamy purulent discharge; many PMNs and motile trophozoites microscopically (corkscrew motility)Trichomonas vaginalisVaginitis with dischargePear-shaped trophozoites with corkscrew motilityMetronidazoleEducational points: STDCAUSATIVE AGENTDIAGNOSISTREATMENT1.Chancroid (Soft sore)H. ducreyi"School of fish"/Rail road trackErythromycin/Cotrimazole2.L6VChlamydiae trachomatis (L1< L2, and L3)Culture of LGV strain from node or rectum, occa-sionally from urethra or cervix; NAAT for C. trachomatis from these sites; LGV CF titer, 1:64; micro-IF titer, 1:512.Tetracycline3.Syphilis (Hard chancre)T. pallidumDark ground microscopyPenicillin4.Genital herpesH. simplex2HSV infection is best confirmed in the laboratory by detection of virus, viral antigen, or viral DNA in scrapings from lesions.Acyclovir5.Donovaniasis(Granuloma inguinale)Calymmto- bacterium granulomatisSmears can be examined in a clinical setting by direct microscopy with a rapid Giemsa or Wright's stain. Donovan bodies can be seen in large, mononuclear (Pund) cells as gram-negative intracytoplasmic cysts filled with deeply staining bodies that may have a safety-pin appearance.Erythromycin6.GonorrhoeaN. gonorrheaA rapid diagnosis of gonococcal infection in men may be obtained by Gram's staining of urethral exudates.PenicillinCeftriaxone (For disseminated gonorrhoea)7.TrichomoniasisT. vaginalis"Strawberry vagina & Cx"metro/tinidazole8.Bacterial vaginosisGarnerellaVaginalis"Clue cells"LeucocytopeniaReduced lactobacilliMetronidazole/ Clindamycin